Minimum criteria to diagnose PID includes all except :
1. Lower abdominal pain
2. adnexal tenderness
3. Cervical motion tenderness
4. Leucocytosis

Correct answer: 4. Leucocytosis

Explanation: Minimum criteria lower abdominal tenderness adnexal tenderness cervical motion tenderness D.C.DUTTA'S TEXTBOOK OF GYNECOLOGY,Pg no:130 6th edition